Hypercalcemia caused by which one of the following is most likely to respond to treatment with corticosteroids?
1. Primary hyperparathyroidism
2. Milk alkali syndrome
3. Sarcoidosis
4. Paget's disease

Correct answer: 3. Sarcoidosis

Explanation: Hypercalcemia is a highly prevalent complication of sarcoidosis. Hypercalcemia in sarcoidosis is due to the uncontrolled synthesis of 1,25-dihydroxyvitamin D3 by macrophages. 1,25-dihydroxyvitamin D3 leads to an increased absorption of calcium in the intestine and to an increased resorption of calcium in the bone Ref Davidson 23rd edition pg 364